A child presented with a headache, dizziness, intermittent claudication with occasional dyspnoea. The most probable diagnosis in -
1. ASD
2. PDA
3. TOF
4. Coarctation of aorta

Correct answer: 4. Coarctation of aorta

Explanation: Ans-DCoarctation of the aortaI. The only symptoms in uncomplicated coarctation may be intermittent claudication, pain and weakness of legs and dyspnea on running.II. The classic sign of coarctation of the aorta is a disparity in pulsation and blood pressure of the arm and legs